A 20-year-old female on OCPs resented with behaviour changes & abdominal pain most probable diagnosis is -
1. SLE
2. Acute intermittent porphyria
3. Pancreatitis
4. Aortic aneurysm

Correct answer: 2. Acute intermittent porphyria